Increased intracranial pressure occurs with:
1. Rocuronium
2. Vecuronium
3. Succinylcholine
4. None of the above

Correct answer: 3. Succinylcholine

Explanation: Succinylcholine has the potential to increase intracranial pressure. The mechanisms and clinical significance of this transient increase are unknown, but the rise in intracranial pressure does not occur after pretreatment with nondepolarizing neuromuscular blockers Ref: Miller's anesthesia-7th ed , Chapter 29.